Pancreatic insufficiency and cyclic neutropenia is a part of which syndrome
1. Young syndrome
2. Colts syndrome
3. Shwachmann syndrome
4. Roots syndrome

Correct answer: 3. Shwachmann syndrome

Explanation: Shwachmann syndrome bus assoasiated with pancreatic insufficiency ,marrow failure and malabspoion